An attack of cluster headache can be aborted by
1. Morphine administration
2. Breathing oxygen
3. Aspirin administration
4. Sublingual nitroglycerine administration

Correct answer: 2. Breathing oxygen

Explanation: Cluster headache is unilateral and among the most painful of all headache disorders. Periorbital pain is commonly associated with autonomic symptoms including homoLateral lacrimation. Abortive medicines including the use of 100% oxygen at the outset of an episode, are often useful in confirming diagnosis. Oxygen inhalation results in rapid resolution of symptoms over 70% cases.
Triptan therapy, short courses of glucocorticoids are also effective.